Hose pipe appearance of intestine is a feature of:
1. Crohn's disease
2. Malabsorption syndrome
3. Ulcerative colitis
4. Hirschsprung's disease

Correct answer: 1. Crohn's disease

Explanation: Hose-pipe Appearance (Long stricture extending into Ileocecal valve with Thickened wall) - Corresponds to String sign of Kantor